Which of the following ACE inhibitor is NOT a prodrug ?
1. Fosinopril
2. Enalapril
3. Ramipril
4. Lisinopril

Correct answer: 4. Lisinopril